Which of the following is not a feature of Elastosis perforans serpiginosa
1. Hyperplastic epidermis with basophilic nuclear debris
2. More common in males
3. More common in lower part of body
4. AD mode of inheritance

Correct answer: 3. More common in lower part of body

Explanation: Ref:- Sima Jain; pg num:- 143